Which glass ionomer cement develops early resistance to water intake on setting?
1. Reinforced auto care glass ionomer cement
2. Compomer
3. Resin modified glass ionomer cement
4. Ceramic reinforced glass ionomer cement

Correct answer: 3. Resin modified glass ionomer cement